Pleural calcification is seen in:
1. Asbestosis
2. Mesothelioma
3. Pulmonary infarction
4. Anthracosis

Correct answer: 1. Asbestosis

Explanation: Ans. Asbestosis